Floor space of 2 persons –
1. 70–90 sq.ft
2. 90–100 sq.ft
3. 50–70 sq.ft
4. 110–120 sq.ft

Correct answer: 4. 110–120 sq.ft